A 54-year-old female is admitted to the hospital with a stab wound of the thoracic wall in the area of the right fourth costal cartilage. Which of the following pulmonary structures is present at this site?
1. The horizontal fissure of the left lung
2. The horizontal fissure of the right lung
3. The oblique fissure of the left lung
4. The apex of the right lung

Correct answer: 2. The horizontal fissure of the right lung

Explanation: The horizontal fissure of the right lung is a fissure separating the superior lobe from the middle lobe. It usually extends medially from the oblique fissure at the midaxillary line to the sternum, along the lower border of the fourth rib. The apex of the right lung reaches to a level above the clavicle and is therefore superior to the stab wound in the fourth costal cartilage. The other answers are related to features of the left lung, which is not addressed in the question.